Physiologic responses to all types of shock include the following except
1. Activation of the inflammatory system.
2. Activation of the coagulation system.
3. Hypoperfusion of tissues.
4. Vasoconstriction.

Correct answer: 4. Vasoconstriction.

Explanation: Vasodilation and not vasoconstriction occurs because of the body’s immune response.

Option A: Activation of the inflammatory system occurs as a response to the invasion of microorganisms.
Option B: Activation of the coagulation system occurs because proinflammatory and anti-inflammatory cytokines are released during the inflammatory response.
Option C: Hypoperfusion occurs because of vasodilation.